The choroid plexus of the fourth ventricle is derived from the
1. alar plate
2. basal plate
3. floor plate
4. roof plate

Correct answer: 4. roof plate

Explanation: Roof plate & its pial covering give rise to the choroid plexus. Alar plate gives rise to sensory neurons Basal plate gives rise to motor neurons Floor plate contains decussating fibers Rhombic lips give rise to the cerebellum.